Most common cause of death in patient on chronic hemodialysis:-
1. Uremia
2. Infection
3. Cardiovascular disease
4. Malnutrition

Correct answer: 3. Cardiovascular disease

Explanation: Dialysis has || morbidity & mortality as compared to kidney transplantation Complicationsof hemodialysis: 1. Hypotension (M/c) 2. M/c complication in recurrent hemodialysis = accelerated atherosclerosis 3. Dialysis dementia due to Ab2 amyloid 4. Carpal tunnel syndrome 5. Dialysis disequilibrium (Cerebral oedema, seizures) 6. Peripheral neuropathy / myopathy